True about anopheles mosquito-
1. Larvae have siphon tube
2. Larvae are surface feeder
3. Larvae are bottom feeder
4. Larvae tie at an angle to water surface

Correct answer: 2. Larvae are surface feeder

Explanation: Anopheles mosquito: Eggs are laid singly, boat-shaped with lateral floaters Larvae rest parallel to the surface and are thus surface feeders, have no siphon tube, palmate hairs are present Adults at rest are inclined at an angle to the surface, wings are spotted, palpi are long in both sexes. Only option 2 is correct. Park's Textbook of Preventive and Social Medicine, 25th Edition, Pg 831.